Birth is defined as
1. The complete expulsion or extraction from the mother of a fetus after 20 weeks gestation
2. The complete expulsion or extraction from the mother of a fetus after 28 weeks gestation
3. The complete expulsion or extraction from the mother of a fetus after 38 weeks gestation
4. The complete expulsion or extraction from the mother of a fetus after 40 weeks gestation

Correct answer: 1. The complete expulsion or extraction from the mother of a fetus after 20 weeks gestation

Explanation: Birth: The complete expulsion or extraction from the mother of a fetus after 20 weeks gestation. In the absence of accurate dating criteria, fetuses weighing < 500 g are usually not considered as births but rather are termed abortuses for purposes of vital statistics(Ref: William's Obstetrics; 25th edition)